Pulsus bisfriens is seen in all except:
1. Mitral valve prolapse
2. Aortic stenosis with aortic regurgitation
3. Severe aortic regurgitation
4. HOCM

Correct answer: 1. Mitral valve prolapse

Explanation: Ans: A i.e. Mitral valve prolapse The bisferiens pulse, which has two systolic peaks, is characteristic of aortic regurgitation (with or without accompanying stenosis) and of hypertrophic cardiomyopathy.